IMNCI target group -
1. Upto 5yrs
2. Upto 10 yrs
3. Upto 15 yrs
4. Upto 20 yrs

Correct answer: 1. Upto 5yrs

Explanation: Ans. is 'a' i.e., Upto 5 years